Silent chest is seen in-
1. Very severe asthma
2. Chronic bronchitis
3. Emphysema
4. Bronchiectasis

Correct answer: 1. Very severe asthma